Which drug resistance differentiates the non fermenters, Psedomonas and burkholderia?
1. Resistance to ampicillin
2. Resistance to ceftazidime
3. Resistance to ciprofloxacin
4. Resistance to polymyxin B

Correct answer: 4. Resistance to polymyxin B

Explanation: Burkholderia can be differentiated from Pseudomonas by it's resistance to polymyxin, As polymyxin B is used for treating Psedomonas infection